A patient presents with endocrinopathy. fibrous dysplasia of bone and hyperpigmentation. What should be the possible diagnosis?
1. Ollier's syndrome
2. Mazabraud syndrome
3. Mc Cune-Albright syndrome
4. Maffucci's syndrome

Correct answer: 3. Mc Cune-Albright syndrome

Explanation: Mc Cune Albright syndrome is a triad of Precocious puberty (endocrinopathies) fibrous dysplasia, cafe-au-lait spots.